Meiosis occurs in human - males in
1. Epididymis
2. Scaniniferous tubules
3. Vas deferens
4. Seminal vesides

Correct answer: 2. Scaniniferous tubules

Explanation: Organ
Function


Testes

From sperm
second part of sperm derived from testes sertoli cells sertoli cells secrete testosteronc



Epididymis
Store sperm


Prostate gland

Accessory gland produce milky secretion rich in acid phosphatase.
Tirst part of seven derived from prostate



Seminal vesicle

Secrete alkaline fluid which is rich in tructose and prostaglandin.
Last part screan comes from serinal vesicle,meosis occures here